Artery forming anastomosis around surgical neck humerus -
1. lst part of axillary artery
2. 2nd part of axillary artery
3. 3rd part of axillary artery
4. Subclavian artery

Correct answer: 3. 3rd part of axillary artery

Explanation: Ans. is'c'i.e., 3rd part of axillary arteryAnastomosis around surgical neck of humerus is formed by -Anterior circumflex humeral artery.Posterior circumflex humeral arteryBoth are branches of 3rd part of axillary artery.